Linear coefficient of thermal expansion of amalgam is:
1. 25 ppm/°C
2. 18 ppm/°C
3. 45 ppm/°C
4. 72 ppm/°C

Correct answer: 1. 25 ppm/°C